Which of the follow ing causes urine discoloration-
1. Isoniazid
2. Rifampin
3. Streptomycin
4. Ethambutol

Correct answer: 2. Rifampin

Explanation: Ans. is 'b' i.e., Rifampin Drugs causing urine discolourationo Chloroquineo Iron saltso Levodopao Metbyldopao Metronidazoleo Naphthaleneo Nitrofurantoino Phenacetino Quinineo Sulfonamideso Anthraquinoneo Methylene blueo Triamtereneo Amitriptylineo Primaquineo Rifampino Aminosalicylic acido Indomethacino Chlorzoxazoneo Heparino Phenazopyridineo Phenindioneo Sulfasalazineo Warfarino Aminopyrineo Phenolphthaleino Daunorubicino Doxorubicino Riboflavin